A 2 years old child presents with cleft of the hard and soft palate which extends till the incisive foramen. According to Veau's classification this case comes under
1. Group I
2. Group II
3. Group III
4. Group IV

Correct answer: 2. Group II